A subpoena is a kind of -
1. Decomposed body tissue
2. Designation
3. Document
4. Court tribunal

Correct answer: 3. Document

Explanation: Summon (subpoena) is a legal document compelling attendance of a witness in a court of law.